Treatment of Acute Hyperkalemia
1. Ca gluconate given
2. Insulin & Glucose reduces hyperkalemia within 4 hrs
3. Dialysis not useful
4. Resin shows the response within minutes

Correct answer: 1. Ca gluconate given

Explanation: reference :